Desensitization form of behavior therapy is used for :
1. Phobic disorder
2. Anxiety neurosis
3. Mania
4. Depression

Correct answer: 1. Phobic disorder

Explanation: Ans. is 'a' Phobic Disorder Systemic Desensitization is t/t of choice in phobias and obsessive compulsive Disorders.Other Modalities in t/t of phobiasPsychotherapy - Not very successfulDrug T/TBenzodiazepines* (Alprazolam) is DOC when drug t/t is indicatedAntidepressants* - Imipramine & phenelzineRecently SSRIS (Fluoxetine* & Sertraline) have been found to be very effective in t/t of phobias.